Regarding Cause of fatty liver, true statement about pathogenesis is:
1. Decreased beta oxidation of fat
2. Decreased triglycerides
3. Decreased fatty acid mobilization
4. Increased catabolism

Correct answer: 1. Decreased beta oxidation of fat

Explanation: Ref: Chapter L Ceil injury: page: 34: Robbins and Cot ran Pathologic Basis of Disease: 8th editionExplanation:There are various mechanism of triglycerides accumulation in the liver; defect in any steps of fat metabolism can cause this: like defect in uptake, catabolism, secretion can result in lipid accumulation.The free fatty acids are esterified in the liver to form triglycerides.Then the triglycerides will be either converted to cholesterol/ phospholipids or oxidized to ketone bodies.Excess accumulation of triglycerides within the liver may result from excessive entry or defective metabolism and export of lipids.